Following is are the clinical feature's of lepromatous leprosy
1. Leonine facies
2. Loss of libido and impotence
3. Saddle nose
4. All the above

Correct answer: 4. All the above

Explanation: Important clinical features oflepromatous leprosy

Diffuse erythema, ngling, nasal stuffiness or ep is tax is are earliest manifestations.

Nodules with predelicon for external ears,

Madarosis (loss of eyelashes and eye brow s),
Saddle nose (Collapse of nasal bridge) and perforation of palate.

Testicular involvement results in loss of tescular sensaon, loss of libido, impotence & gynaecomasa. o Leonine face (Diffuse dermal infiltraon of face).
Symmetrical thickening of peripheral nerve.?
Trophic ulcer/neuropathic ulcer/Performing ulcer develop frequently in lepromatous leprosy because sensory impairment appears before motor weakness
and the parent continues to misuse his hands and feet,

Systemic involvementLymphadenopathy, Hepatomegaly, ocular i